Purkinje cells of cerebellum are connected to
1. Basket cells
2. Stellate cells
3. Deep cerebellar nuclei
4. All of the above

Correct answer: 4. All of the above

Explanation: Purkinje cells are flask-shaped cells in the molecular layer of cerebellum. The entire output of the cerebellar cortex is through axons of the Purkinje cells.Basket cells, stellate cells, granule cells and intracerebellar nuclei except flocculonodular lobe synapses with Purkinje cells.(Ref: vishram Singh textbook of clinical neuroanatomy second edition pg 115)